A boy presents with injury to medial epicondyle of the humerus. Which of the following would not be seen:
1. Weakness of the ulnar deviation and flexion
2. Complete paralysis of the IIIrd and IVth digits
3. Atrophy of the hypothenar eminence.
4. Decreased sensation of the hypothenar eminence

Correct answer: 2. Complete paralysis of the IIIrd and IVth digits

Explanation: B i.e. Complete paralysis of 3rd & 4th digit